All of the following cause hypertension except
1. NSAID
2. L-Dopa
3. Cyclosporine
4. Erythropoietin

Correct answer: 2. L-Dopa

Explanation: NSAIDS- Cause retention of sodium and water causing edema and also decreases the effects of antihypertensive drugs. Hypertension is more common in coxib users than NSAIDS. Cyclosporine- May cause hypertension in 50% of renal transplants and in almost all cardiac transplants. L-Dopa- Peripheral decarboxylation of L-Dopa releases dopamine which in circulation may activate vascular dopamine receptors and cause orthostatic hypotension. Administration of Ldopa with nonspecific MAO inhibitors may precipitate a hypertensive crisis and hyperpyrexia. Drugs Causing Hypertension a. Clonidine withdrawal b. Corticotropin c. Cyclosporine d. Erythropoietin e. MAO inhibitors with sympathomimetic f. NSAIDS (some) g. OCP h. Sympathomimetic i. TCA with sympathomimetics